Spondyloarthopathy which is seronegative are all except -
1. AS
2. Psoriasis
3. JRA
4. Reiter syndrome

Correct answer: 3. JRA

Explanation: Ans. is 'c' i.e.Seronegative spondyloarthropathieso The seronegative spondyloarthropathies are a group of disorders that share certain clinical features and genetic associations. The word seronegative referes to the absence of rheumatoid factor in this group of disorders. The seronegative spondyloarthropathies include -Ankylosing spondylitisReactive arthritis - Reiter syndrome and enteritis associated arthritisP soriatic arthritisArthritis associated with inflammatory* bowel disease, i.e. enteropathic arthritisFeatures of seronegative spondyloarthropathieso Onset usually before 40 yearso Absence of RA factoro HLA - B27 positiveo Presence of uveitiso ExamplesAnkylosing spondylitis, Reitter's syndrome, Psoriatic arthritis, Enteropathic arthritis. Reactive arthritis.